Kiesselbach's plexus is present at
1. Medial wall of nasopharynx
2. Lateral wall of nasal cavity
3. Anteroinferior part of nasal septum
4. Posterior part of the nasal cavity

Correct answer: 3. Anteroinferior part of nasal septum

Explanation: Ref BDC volume3,6th edition pg 241The anteroinferior part or vestibule of the septum contains anastomoses between the septal ramus of superior labial branch of facial artery, branch of sphenopalatine artery, greater palatine and of anterior ethmoidal artery. These form a large capillary network called kiesselbachs plexus.